Ante's law concerns the
1. Degree of tipping allowable in the abutment tooth
2. Amount of increase in retentive factor with a full crown versus a 3/4th crown
3. Crown : Root ratio
4. Ratio of combined pericemental root surface area of the abutment teeth and the pericemental root surface areas of the teeth to be replaced

Correct answer: 4. Ratio of combined pericemental root surface area of the abutment teeth and the pericemental root surface areas of the teeth to be replaced